Which of the following condition is not known to cause diabetes insipidus?
1. Head injury
2. Histiocytosis
3. Multiple sclerosis
4. Viral encephalitis

Correct answer: 3. Multiple sclerosis

Explanation: Multiple sclerosis